Carbamoyl phosphate synthase - 1 acts on -
1. Ornithine
2. Carbamoyl phosphate
3. CO2 & ammonia
4. Arginine

Correct answer: 3. CO2 & ammonia

Explanation: Ans. is 'c' i.e, CO2 & ammonia o Explained